The most common site of metastases of osteosarcoma is
1. Liver
2. Spleen
3. Lymph nodes
4. Lung

Correct answer: 4. Lung